The first reflex response to appear as spinal shock wears off in humans is:
1. Tympanic reflex
2. Withdrawal reflex
3. Neck righting reflex
4. Labyrinthine reflex

Correct answer: 2. Withdrawal reflex

Explanation: As the stage of spinal shock passes off, functional activity returns first in smooth muscle. The reflex movement that appears first is the flexor (withdrawal) reflex. Tone in flexors begins to return; limbs tend to adapt a position of slight flexion "paraplegia in flexion". - The other signs/reflexes seen are: Babinski's sign, Mass reflex, profuse sweating. Overall first reflex to appear after spinal shock is bulbocavernous reflex